Okazaki fragments are
1. Short pieces of DNA on leading strand
2. Long pieces of DNA on Lagging strand
3. Short pieces of DNA on Lagging Strand
4. Long pieces of DNA on Leading strang

Correct answer: 3. Short pieces of DNA on Lagging Strand

Explanation: Okazaki fragments are short pieces of DNA that are synthesized on lagging strand and later these small pieces are joined together by DNA ligase.